Absence seizures are characterized on EEG by
1. 3 Hz spike and wave
2. 1-2 Hz spike and wave
3. Generalized poly spikes
4. Hypsarrythmia

Correct answer: 1. 3 Hz spike and wave

Explanation: EEG shows generalized, symmetric, 3-Hz spike-and-wave discharge that begins and ends suddenly, superimposed on a normal EEG background. Ref - Harrison's internal medicine 20e pg3051-3052, 3060f